Remnant of notochord is ?
1. Annulus fibrosus
2. Nucleus pulposus
3. Ligament flavum
4. Intertransverse ligament

Correct answer: 2. Nucleus pulposus

Explanation: After development of verteral bodies, the notochord degenerates and disappears but persists as the nucleus pulposus of intervertebral disc.